All are produced by mu receptors except -
1. Euphoria
2. Sedation
3. Dysphoria
4. Constipation

Correct answer: 3. Dysphoria

Explanation: Ans. is 'c' i.e., Dysphoria (Mu)k (Kappa)d (Delta)o Analgesia (spinal + supraspinal)o Respiratory depressiono Euphoriao Reduced GI motilityo Sedationo Miosiso Physical dependenceo Increased feedingo Analgesia (spinal + Supraspinal)o Respiratory depression (lower ceiling)o Dysphoriao Reduced GI motilityo Sedationo Diuresiso Increased feedingo Psychomimetic effectso Analgesia (spinal + Supraspinal)o Modulation of GH & DA releaseo Increased feeding